Which part of scapula is more prominent in Winging of scapula
1. Superior angle and Medial border
2. Inferior angle and Lateral border
3. Superior angle and Lateral border
4. Inferior angle and Medial border

Correct answer: 4. Inferior angle and Medial border

Explanation: Forward pressure with the hands against a wall, or against resistance offered by the examiner, makes the medial border and the inferior angle of the scapula prominent (winging of scapula) if the serratus anterior is paralyzedReference: Vishram Singh Anatomy; 2nd edition; Page no: 38